Each day carrier can carry how many vaccine vials?
1. 4-Feb
2. 8-Jun
3. 10-Aug
4. 16-20

Correct answer: 2. 8-Jun

Explanation: A day carrier can carry 6 to 8 vaccine vials. 2 frozen ice packs are used. Vaccines can be stored in aday carrier for a few hours. Ref: Park 21st edition, page 103.